Which of the following are not non absorbable sutures :
1. Silk
2. Catgut
3. Metal
4. Nylon

Correct answer: 2. Catgut